The dominant histologic feature of infarction is:
1. Liquefactive necrosis
2. Coagulative necrosis
3. Chronic inflammation
4. Scar tissue

Correct answer: 2. Coagulative necrosis

Explanation: Pathognomonic cytologic change in all infarcts is coagulative (ischaemic) necrosis of the affected area of tissue or organ. 
In cerebral infarcts, however, there is characteristic liquefactive necrosis.

Mohan H. Textbook of pathology. Jaypee Brothers Medical Publishers; 2015. Edition 7. Page 112